Wading gait is seen in -a) Bilateral dislocation of hipb) Myopathiesc) Common peroneal nerve injuryd) Unilateral dislocation of the hip
1. ac
2. a
3. ab
4. bc

Correct answer: 3. ab